Palpable purpura are seen in all EXCEPT:
1. Giant cell arteritis
2. HSP
3. Wegner granulomatosis
4. Polyarteritis nodosa

Correct answer: 1. Giant cell arteritis

Explanation: Giant cell arteritis REF: Harrison's 18' ed chapter 53 table 54-16 "Giant cell arteritis being a large vessel vasculitis does not cause any purpura" CAUSES OF PURPURA: Palpable Non palpable Primary cutaneous Trauma disorder Solar purpura Steroid purpura Capillaritis Livedoid vasculopathy Systemic disorder Vasculitis Vascular fragility * Cutaneous small-vessel * Amyloidosis vasculitis (Henoch-Schanlein * Ehlers-Danlos syndrome purpura, Acute hemorrhagic * Scurvy edema of infancy, Urticarial Thrombi vasculitis, Cryoglobulinemic * DIC vasculitis, Erythema elevatum * Monoclonal cryoglobulinemia diutinum, Granuloma faciale) * TTP * Polyarteritis nodosa * Warfarin reaction Emboli Emboli * Acute meningococcemia * Cholesterol * Disseminated gonococcal * Fat infection Possible immune complex * Rocky Mountain spotted fever * Gardner-Diamond syndrome * Ecthyma gangrenosum (autoerythrocyte sensitivity) * Waldenstrom's hypergammaglobulinemic purpura Clotting disturbances * ITP * Abnormal platelet function * Clotting factor defects